The test likely to help in diagnosis of a patient who presents with an itchy annular plaque on the face is –
1. Gram's stain
2. Potassium hydroxide mount
3. Tissue smear
4. Wood's lamp examination

Correct answer: 2. Potassium hydroxide mount

Explanation: The clinical picture is suggestive of a fungal infection most likely Tinea fascitis, KOH preparation is performed on scaling skin lesion when fungal etiology is suspected. Microscope examination after KOH digestion will show fungal hyphae.